Organisms with characteristic School of fish appearance in stained smears is observed in wof condition
1. Granuloma inguinale
2. Chancroid
3. Lymphogranuloma venereum
4. Herpes genitalis

Correct answer: 2. Chancroid

Explanation: Ref:- Sima Jain; pg num:- 218